"Swiss cheese" nephrogram on IVP is a feature of :
1. Acute ureteral obstruction
2. Severe hydronephrosis
3. Polycystic Kidney Disease
4. Medullary cystic disease of kidney

Correct answer: 3. Polycystic Kidney Disease

Explanation: In ADPKD, 'Swiss cheese'nephrogram is due to the presence of innumerable lucent cysts of various sizes throughout the kidneys.